True about complicated cataract is
1. Hypertension is almost always complicated by cataract
2. Occurs only in females
3. More than 50% cases lead further to endophthalmitis
4. Occurs on posterior surface of lens

Correct answer: 4. Occurs on posterior surface of lens